The characteristic features of E1 tor cholera are all except -
1. More of subclinical cases
2. Mortality is less
3. Secondary attack rate is high in family
4. E1 tor vibrio is harder and able to survive longer

Correct answer: 3. Secondary attack rate is high in family